Most common causative organism of community acquired pneumonia is
1. Klebsiella pneumoniae
2. Streptococcus pneumoniae
3. Mycoplasma pneumoniae
4. Legionella pneumoniae

Correct answer: 2. Streptococcus pneumoniae

Explanation: (B) Streptococcus pneumoniae # Community acquired pneumonia: Occurs outside of the hospital or less than 48 hours after admission, in a patient who is not hospitalized or residing in a long-term care facility for more than 14 days before onset of symptoms.> Risk factors for increased mortality and morbidity rates from community acquired pneumonia.* Advanced age; Alcholism; Comorbid medical conditions; Altered mental status; Resp. rate > 30/min; Hypotension (< 90/60 mm Hg); BUN > 30 mg/dl. A predictor of patients risk and mortality from community acquired pneumonia has been developed and validated by pneumonia patient outcome research team (PORT).> Community acquired pneumonia is characterized by:* Sign and symptoms of acquired lung infection--fever, hypothermia, cough with or without sputum, dyspnea, sweat/rigors.* Bronchial breath sounds, rales.* Parenchymal infiltrate on chest radiograph.* Most common bacterial pathogen-- streptococcus pneumoniae in about two-thirds of cases.> Other pathogens--H. influenza Mycoplasma, Pneumoniae, Chlamydia, Pneumoniae, Staph, aureus, N. meningitidis Klebsiella pneumoniae.